Radionucleotide used in Scintimammography is?
1. HIDA
2. MIBG
3. Sestamibi (MIBI)
4. DTPA

Correct answer: 3. Sestamibi (MIBI)

Explanation: Ans CThe ability of scintimammography to detect cancer is not limited by dense breast tissue, post-operative scar tissue or breast implants, and it can reduce unnecessary procedures by helping determine whether an abnormality requires biopsy. Technetium-99m sestamibi (99mTc-MIBI) is the most commonly used radiopharmaceutical.